Atrophic kidney with papillary calcification in a garland pattern is seen in?
1. TB
2. Analgesic nephropathy
3. Hypercalcemic nephropathy
4. Vesico-ureteric reflux

Correct answer: 2. Analgesic nephropathy

Explanation: Analgesic Nephropathy Long-term use of analgesic preparations containing phenacetin, aspirin, and caffeine Atrophic Kidney with Garland Pattern Because of decrease PG